Gas shadow in heart and great vessels appears in-
1. IUD
2. Abortion
3. Still birth
4. None

Correct answer: 1. IUD

Explanation: IUD ROBERT SIGN: Hyperechoic area inside heart and umbilical vein because presence of AIR SPALDING SIGN: Overlapping sutural bones on USG SPALDING SIGN ROBERT SIGN